The anaesthetic that affects the laryngeal & pharyngeal reflexes minimally –
1. Propanidid
2. Methohexitane
3. Thiopentone
4. Ketamine

Correct answer: 4. Ketamine

Explanation: Airway reflexes (pharyngeal & laryngeal) are not depressed → can be used for emergency anaesthesia.